The optic canal is a part of
1. Lesser wing of sphenoid
2. Greater wing of sphenoid
3. Ethmoid
4. Pterygium

Correct answer: 1. Lesser wing of sphenoid

Explanation: *The optic nerve leaves the orbit is the optic canal to enter the cranial vault *The optic canal is the most posterior landmark of the orbit. It measures 10mm in length *The thin piece of bone separating the optic canal from the superior orbital fissure is the optic strut *The optic strut and optic canal are a part of the lesser wing of the sphenoid bone Fig - Foramina and bony landmarks of the sphenoid wings and pterygoid process. Reference : AK Khurana Comprehensive Ophthalmology, 6th edition, pg no. 310